Type I membranoproliferative glomerulonephritis is commonly associated with all except:
1. SLE
2. Persistent hepatitis C infections
3. Partial lipodystrophy
4. Neoplastic diseases

Correct answer: 3. Partial lipodystrophy

Explanation: MPGN Type 1 : Characterised by subendothelial deposits. Basement membrane covers subendothelial deposits on both sides which is responsible for Tram Track appearance . Partial lipodystrophy is associated with C3 nephritic factor (C3NeF)- Type II MPGN